In portal hypertension lower end of the oesophagus may show dilatation of veins. Which of the following veins drains into the portal vein from the lower end of the oesophagus?
1. Right gastric
2. Left gastric
3. Hemiazygos
4. Inferior phrenic

Correct answer: 2. Left gastric